Treatment of nasopharyngeal carcinoma T1 -
1. Radiation therapy
2. Surgery
3. Local resection
4. Chemotherapy

Correct answer: 1. Radiation therapy

Explanation: Overall treatment of choice for nasopharyngeal carcinoma → radiotherapy.
Treatment of choice for early (stage I & II) nasopharyngeal carcinoma → radiotherapy.
Treatment of choice for advanced (stage III & IV) nasopharyngeal carcinoma → radiotherapy combined with chemotherapy.